Aflatoxins are produced by
1. Aspergillus flavus
2. Aspergillus niger
3. Aspergillus fumigatus
4. Candida

Correct answer: 1. Aspergillus flavus

Explanation: The best-known mycotoxin is aflatoxin produced by Aspergillus flavus. It is present in ground nuts, corns and peas. It can cause hepatoma in animals. Ref: Textbook of Microbiology, Ananthanarayan and Paniker; 9th edition